Necrotizing lymphadenitis is seen in:
1. Kimura disease
2. Kikuchi Fujimoto disease
3. Hodgkin disease
4. Castelman disease

Correct answer: 2. Kikuchi Fujimoto disease

Explanation: Kikuchi Fujimoto disease Or histiocytic necrotizing lymphadenitis It is Benign and self-limited disorder in young individuals characterized by regional cervical lymphadenopathy with tenderness Accompanied with mild fever and night sweats Diagnosed on the basis of an excisional biopsy of affected lymph nodes which shows fragmentation, necrosis and karyorrhexis, presenting with posterior cervical lymphadenopathy.